The most important cause of under 5 mortality worldwide is:
1. Diarrhoea
2. Malnutrition
3. Respiratory infections
4. Trauma

Correct answer: 3. Respiratory infections

Explanation: Lower respiratory tract infections are the leading cause of morbidity worldwide between age group of 1 to 5. Other causes are, diarrheal illness, measles, malaria, human immunodeficiency virus infection/acquired immunodeficiency syndrome. At Ref: Goldman R.D., Meckler G.D. (2011). Chapter 110. Emergency Care of Children. In J.E. Tintinalli, J.S. Stapczynski, D.M. Cline, O.J. Ma, R.K. Cydulka, G.D. Meckler (Eds), Tintinalli's Emergency Medicine: A Comprehensive Study Guide, 7e.